Site of action of furosemide is:-
1. Thick ascending limb of loop of Henle
2. PCT
3. DCT
4. Descending limb

Correct answer: 1. Thick ascending limb of loop of Henle

Explanation: Descending limb Name Site of action Example Mechanism Loop diuretics Thick ascending limb of Loop of Henle Furosemide Torsemide Na-K-2Cl symporter inhibition Carbonic anhydrase inhibitors PCT Acetazolamide Dorzolamide Brinzolamide Carbonic anhydrase inhibition Thiazides DCT Hydrochlorthiazide Chlorthalidone Na-Cl symporter inhibition Osmotic diuretics Non-specific Mannitol By osmotic effect Epithelial sodium channel blockers Collecting duct Amiloride Triamterene eNa channel blockade Aldosterone antagonists Collecting duct Spironolactone Epleronone Antagonism of aldosterone receptors Note Diurectics has maximum efficacy at Thick ascending limb of Loop of Henle